Retina is part of ?
1. CNS
2. PNA
3. ANS
4. None

Correct answer: 1. CNS

Explanation: Retina is a part of CNS and develops from Neuroectoderm.